All of the following drugs can be given in status asthmaticus except:-
1. Terbutaline
2. Salmeterol
3. Hydrocortisone
4. Salbutamol

Correct answer: 2. Salmeterol

Explanation: Salmeterol is a long acting beta 2 agonist. It is very slow to work and thus has no role in management of acute severe asthma (Status asthmaticus). ACUTE SEVERE ASTHMA (STATUS ASTHMATICUS) Upper respiratory tract infection is the most common precipitant of acute severe asthma in a susceptible patient of asthma. The management of this condition include: Hydrocortisone intravenously Nebulized salbutamol plus ipratropium inhalation High flow humidified oxygen inhalation Salbutamol (intramuscular) or terbutaline (subcutaneous) injection